For a bacterium to be seriously considered in the etiology of dental caries, it must:
1. Exist regularly in the dental plaque
2. Produce extracellular amylopectins
3. Be lethal for gnotobiotic animals
4. Produce intracellular dextrans

Correct answer: 1. Exist regularly in the dental plaque